Zonula of Zinn is
1. Primary vitreous
2. Secondary vitreous
3. Persistence vitreous
4. Tertiary Vitreous

Correct answer: 4. Tertiary Vitreous

Explanation: The lens is held in position by the suspensory ligament called zonules of Zinn. A ligament composed of straight fibrils radiating from the ciliary body of the eye to the crystalline lens, holding the lens in place and relaxing by the contraction of the ciliary muscle. - Relaxation of the ligament allows the lens to become more convex.